Lowest projection of ligamentum denticulatum lies at which level of spinal nerves
1. T9,10
2. T12,L1
3. S2,3
4. S4,5

Correct answer: 2. T12,L1

Explanation: First tooth of ligamentum denticulatum is at the level of foramen magnum, last between T12-L1 Ref: Gray's39e/p227